Carcinoma tongue is most common at
1. Lateral border
2. Dorsum
3. Posterior 1/3rd
4. Tip of tongue

Correct answer: 1. Lateral border

Explanation: Carcinoma Tongue Most common site is middle of lateral border or ventral aspect of the tongue Most common histological type is squamous cell carcinoma Most common associated risk factors are tobacco and alcohol Most common variety is ulcerative 30% patients presents with cervical node metastasis Ref: Bailey and love 27th edition Pgno : 616